Corneal epithelium is embryologically derived from:
1. Neural crest
2. Ectoderm
3. Mesoderm
4. Endoderm

Correct answer: 2. Ectoderm

Explanation: Ectoderm